The dermoid cyst, diagnosed at 6 weeks of pregnancy, Best treatment modalities:
1. Removal LSCS along with removal of cyst
2. Removal only when it undergoes torsion
3. Remove immediately
4. At 14-16 weeks of pregnancy

Correct answer: 4. At 14-16 weeks of pregnancy

Explanation: At 14-16 weeks of pregnancy